Driven snow appearance is seen in
1. Osteoid osteome
2. Simple bone cyst
3. Aneurysmal bone cyst
4. Pindborg tumor

Correct answer: 4. Pindborg tumor

Explanation: Driven snow appearance  - Pindborg tumor.
Fallen fragment sign - Simple bone Cyst.